True about Crohn disease are all EXCEPT?
1. Loss of haustration
2. Growth failure
3. Cobblestone colon
4. Perianal fistula formation

Correct answer: 1. Loss of haustration

Explanation: Discussing about the options one by one, a. Loss of haustrations is a feature of ulcerative colitis b. Growth failure can even be the only manifestation of Crohn disease. c. Linear ulcers can give a cobblestone appearance to the mucosal surface in Crohn disease d. Perianal disease is common (tag, fistula, deep fissure, abscess) in Crohn disease